Lines of Blaschko's are along
1. Lymphatics
2. Nervs
3. Developmental
4. Blood vessels

Correct answer: 3. Developmental

Explanation: Blaschko's lines, are lines of normal cell development in the skin. These lines are invisible under normal conditions.